All are indicators for air pollution, except –
1. CO2
2. SO2
3. Soiling Index
4. Smoke index

Correct answer: 1. CO2